A patient in ICU was given blood transfusion. 3 hours later SpO2 is reduced to 75% with respiratory difficulty. CVP is 15cm water and PCWP is 25mm Hg. CXR is shown below. What should be the diagnosis ?
1. Tension pneumothorax
2. Transfusion related acute lung injury
3. Transfusion associated circulatory overload
4. Mismatched blood transfusion

Correct answer: 3. Transfusion associated circulatory overload

Explanation: The presence of respiratory distress after blood transfusion along with elevated CVP and PCWP points towards diagnosis of Transfusion associated circulatory overload TACO TRALI Ejection Fraction < 40% > 40% PCWP > 18 mm Hg <= 18 mm Hg CXR CTR > 0.55 CTR < 0.55 Fluid Balance Positive Neutral BNP > 1200 pg/mL < 250 pg/mL BP | | Temperature Unchanged Febrile WBC Unchanged Transient |